Histologic sections of skin from an area of sunburn would most likely reveal:
1. Epidermal edema
2. Intraepidermal vesicles
3. Full-thickness epithelial necrosis
4. Partial dermal necrosis

Correct answer: 1. Epidermal edema

Explanation: First-degree burns, such as with a sunburn, are mild and heal without scarring. Clinically, erythema is present, which is due to dilation of the capillaries in the dermis. Histologic sections of the skin would show epidermal edema and focal epithelial necrosis.